Regarding furosemide true statement is :
1. Acute pulmonary edema is an indication
2. Acts on PCT
3. Mild diuresis
4. Given only by parenteral route

Correct answer: 1. Acute pulmonary edema is an indication

Explanation: Furosemide possesses vasodilatory action which is responsible for quick relief in LVF and pulmonary edema (used i.v.).
It can be used orally as well as parenterally.